Investigation of choice for minimal Ascites is?
1. X Ray
2. USG
3. CT
4. MRI

Correct answer: 2. USG

Explanation: ANSWER: (B) USGREF: Maingot's 10th ed p 101Investigation of choice for minimal Ascites is USG